A 6-year-old boy has been complaining of headache, ignoring to see objects on the sides for four months. On examination, he is not mentally retarded, his grades at school are good, and visual acuity is diminished in both eyes. Visual charting showed significant field defect. CT scan of head showed suprasellar mass with calcification. Which of the following is the most probable diagnosis?
1. Astrocytoma
2. Craniopharyngioma
3. Pituitary adenoma
4. Meningioma

Correct answer: 2. Craniopharyngioma

Explanation: b. Craniopharyngioma(Ref: Nelson's 20/e p 2453-2460, Ghai 8/e 612-613)CraniopharyngiomaIt is a solid tumor with cysts and calcification located in the suprasellar region.It presents with (short stature), visual field defects & hydrocephalus.